Rotten apple smell of breath is associated with:
1. Liver insufficiency
2. Kidney insufficiency
3. Unbalanced insulin dependent diabetes
4. Respiratory problems

Correct answer: 3. Unbalanced insulin dependent diabetes